All of the following are true about cluster sampling except -
1. Samples are similar to those in simple Random sampling
2. Is a Rapid and simple method
3. The sample size may vary according to study design
4. It is a type of probability sample

Correct answer: 1. Samples are similar to those in simple Random sampling